Brown's syndrome involves
1. Superior rectus
2. Superior oblique
3. Medial rectus
4. Lateral rectus

Correct answer: 2. Superior oblique

Explanation: Brown's syndrome is due to fibrous tightening of the superior oblique tendon.